In Holmes-Adie pupil all are true except -
1. There is absent or retarded pupil reactions to light and near
2. Most cases are bilateral
3. Causes reduced or absent accommodation
4. Constricts with 2.5% methacholine

Correct answer: 2. Most cases are bilateral

Explanation: The Adie's tonic pupil. In this condition reaction to light is absent and to near reflex is very slow and tonic. The affected pupil is larger (anisocoria). Its exact cause is not known. It is usually unilateral, associated with absent knee jerk and occurs more often in young women. Adie's pupil constricts with weak pilocarpine (0.125%) drops, while normal pupil does not. Ref:AK Khurana 4thE pg 293